What is the inheritance pattern of friedreich ataxia?
1. Autosomal dominant
2. Autosomal recessive
3. x linked dominant
4. x linked recessive

Correct answer: 2. Autosomal recessive

Explanation: Friedreich Ataxia and Ataxia Telanjectasis both are autosomal recessive disorder.